Superior cerebellar peduncle carries the following fibres
1. Reticulocerebellar
2. Olivocerebellar
3. Cuneocerebellar
4. Dentate rubro thalamic tract

Correct answer: 4. Dentate rubro thalamic tract

Explanation: In the human brain, the superior cerebellar peduncle (brachium conjunctivum) is a paired structure of white matter that connects the cerebellum to the midbrain. It consists mainly of efferent fibers, the cerebellothalamic tract that runs from a cerebellar hemisphere to the contralateral thalamus, and the cerebellorubral tract that runs from acerebellar hemisphere to the red nucleus. It also contains afferent tracts, most prominent of which is the ventral spinocerebellar tract. Other afferent tracts are the trigeminothalamic fibers, tecto cerebellar fibers, and noradrenergic fibers from the locus coeruleus. The superior peduncle emerges from the upper and medial parts of the white matter of each hemisphere and is placed under cover of the upper part of the cerebellum.Ref: Ganong's review of medical physiology, 23rd edition, Page no:254